Metastatic calcification is most commonly seen in -
1. Cornea
2. Extensor tendon
3. Lungs
4. Renal tubules

Correct answer: 3. Lungs

Explanation: Ans. is 'c' i.e., Lung